The lowest recurrence of peptic ulcer is associated with
1. Gastric resection
2. Vagotomy + drainage
3. Vagotomy + Antrectomy
4. Highly selective vagotomy

Correct answer: 3. Vagotomy + Antrectomy

Explanation: Answer is C (Vagotomy + Antrectomy) Repeat Vagotomy with Antrectomy is associated with lowest recurrence rates.